False regarding anorexia nervosa:
1. Psychiatric symptoms such as depression may be associated
2. Excessive exercising can be a feature
3. Weight loss is a feature
4. Decreased appetite is a feature

Correct answer: 4. Decreased appetite is a feature

Explanation: The appetite of patients with anorexia is normal and as such there is no anorexia in anorexia nervosa. Characteristic features of Anorexia nervosa: Disturbance of body image Excessive fear of weight gain despite being very thin Restriction of energy intake resulting in significantly less weight than normal (according to ICD- II BMI < 18.5 Kg/m2). Severity is according to BMI.Medical signs and symptoms of starvation such as amenorrhea, lanugo (neonatal hairs), hypothermia dependent edema and bradycardia Mostly seen in adolescent females. Misnomer (there is no anorexia in anorexia nervosa) Poor sexual development (adolescent), low interest in sexual activities (adults) Endocrine abnormalities (Decreased FSH, LH, CRH, increased Cortisol) Peculiar behavior about food (they do many things with foods, but they will not eat) Secretive and deny any symptoms (they refuse to accept that they have problem)